Ebstein anomaly is due to -
1. Lithium
2. Cu
3. Co
4. Ni

Correct answer: 1. Lithium

Explanation: Ans. is 'a' i.e., Lithium o Ebstein anomalyDownward displacement of an abnormal tricuspid valve into right ventricle.Due to lithium exposure in intrauterine life.